In case of parathyroid adenoma T/t is
1. Calcitonin and steroid
2. Removal of adenoma
3. Total parathyroidectomy and implantation in arm
4. Total parathyroidectomy

Correct answer: 2. Removal of adenoma

Explanation: Ref: Harrison's 19th edition Pgno :2473-2475 Parathyroid adenoma causes primary Hyperparathyroidism A single parathyroid adenoma (85%) Resection Two adenomas(5%) Resection Hyperplasia of all four glands (10-15%) Resection of 3 1/2 glands Resection of all four glands with auto transplantation of a parathyroid gland in the forearm (brachioradialis) or SCM muscle